Bony metastasis is common with all of the following except -
1. Ca breast
2. Ca lung
3. Ca testis
4. Ca prostate

Correct answer: 3. Ca testis

Explanation: Ans is 'c' i.e., Ca Testis "Bone is a common site of metastasis for carcinomas of the prostate, breast, lung, kidney, bladder and thyroid and for lymphomas and sarcomas. Prostate, breast and lung primaries account for 80% of all bones metastasis." - Harrison Testicular Ca metastasis to bones is very rare (not even mentioned in Harrison's detailed explanation of Testicular carcinoma)